Pierre Robbin syndrome is -
1. Cleft palate with syndactly
2. Cleft palate with mandibular hypoplasia and respiratory obstruction
3. Cleft lip with mandibular hypoplasia
4. Cleft lip

Correct answer: 2. Cleft palate with mandibular hypoplasia and respiratory obstruction

Explanation: Pierre Robbin syndrome comprises

isolated cleft palate
retrognathia (posteriorly displaced mandible)
glossoptosis (posteriorly displaced tongue)
early respiratory & feeding difficulties